Condyloma acuminata is reported on pap-smear as -
1. Inflammatorycondition
2. Carcinoma
3. Carcinoma in situ
4. LSIL

Correct answer: 4. LSIL

Explanation: Ans. is'd'i.e.LSIL Cervical Precursor lesion associated with both low and high risk HPV subtypes.This category includes:Flat mature LSIL (flat condyloma or CIN-I)Mature Exophytic LSIL (exophytic condyloma, condyloma acuminatum)Extensive Exophytic LSIL (giant condyloma)Immature Exophytic LSIL (immature condyloma, squamous papilloma, papillary immature metaplasia)Immature Flat Metaplastic LSIL